About biotransformation untrue is:
1. Inactive metabolites are formed
2. Active metabolites are formed
3. More fat soluble metabolites are formed
4. More H2O soluble metabolites are formed

Correct answer: 3. More fat soluble metabolites are formed